A cardiologist wants to study the effect of an atorvastatin drug. He notes down the initial cholesterol levels of 50 patients and then administers the drug on them. After a month's treatment, he measures the cholesterol level again. Which of the following is the most appropriate to test the statistical significance of the change in blood cholesterol.
1. Paired t-test
2. Unpaired or independent t-test
3. Analysis of variance
4. Chi-square test

Correct answer: 1. Paired t-test

Explanation: In the given question, a cardiologist wants to study the effect of an atorvastatin drug; he notes down the initial cholesterol levels of 50 patients and administers the drug on them and after a months treatment, he measures the cholesterol level again. Since, mean cholesterol levels are being measured in the same group of individuals before and after an intervention, this is PAIRED DATA. Thus,, the most appropriate to test the statistical significance of the change in blood cholesterol will be students (paired(d) t-test. Ref: Simple Biostatistics By Indrayan and Indrayan 1st edition Pgno: 164